Which of the following organisms is implicated in the causation of botryomycosis :
1. Staphylococcus aureus
2. Staphylococcus albus
3. Pseudomonas aeruginosa
4. Streptococcus pneumonia

Correct answer: 1. Staphylococcus aureus

Explanation: Botyromycosis is a chronic granulomatous condition similar to mycetoma, usually involves the skin and characterized by granules in the pus, consisting of masses of bacteria generally staphylococcus aureus.